Majocchi granuloma is due to:
1. Microsporum gypsum
2. Epidemophyton
3. Trichophyton
4. Microsporum

Correct answer: 3. Trichophyton

Explanation: Majocchi granuloma is a type of deep folliculitis d/t dermatophyte. Majocchi's granuloma (MG) is classified into two forms: 1st form: healthy individuals, perifollicular, papular lesion induced by shaving (women - legs/ men - beard area) 2nd form : granulomatous, related to immunosuppression, seen in a nodular form, on the upper extremities MC Cause -Trichophyton rubrum. other causes: T.mentagrophytes T.violaceum T.tonsurans